Stomach bed is formed by all, EXCEPT:
1. Splenic artery
2. Crus of diaphragm
3. Left gastric artery
4. Left suprarenal gland

Correct answer: 3. Left gastric artery

Explanation: The posterior surface lies anterior to the left crus and lower fibres of the diaphragm, the left inferior phrenic vessels, the left suprarenal gland, the superior pole of the left kidney, the splenic artery, the anterior pancreatic surface, the splenic flexure of the colon and the upper layer of the transverse mesocolon. Together these form the shallow stomach bed.Ref: Gray's anatomy 40th edition, Chapter 71.